The most common benign lesion of the liver is -
1. Hemangioma
2. Hepatic adenoma
3. Focal nodular hyperplasia
4. Hepatoblastoma

Correct answer: 1. Hemangioma

Explanation: The most common Benign lesions of the liver are cavernous hemangiomas, which are identical to those occurring in other parts of the body. ROBBINS TEXTBOOK OF PATHOLOGY 9TH EDITION PG NO.635 IMAGE REF: